A person presents with headache, fever, stiff neck. Most likely organism responsible is
1. S.Aureus
2. Listeria
3. S.agalactiae
4. S.pneumoniae

Correct answer: 4. S.pneumoniae

Explanation: It is case of meningitis. M/c organism responsible for meningitis is S.pneumoniae.